Corynebacterium tenuis causes which disease
1. Trichomycosis axillaris
2. Erythrasma
3. Pitted keratolysis
4. All of the above

Correct answer: 1. Trichomycosis axillaris

Explanation: Trichomycosis Axillaris * Superficial bacterial colonization with C. tenuis of hair shafts in axilla; | risk with hyperhidrosis/poor hygiene. * Presents with white-yellow, red or black adherent nodules attached to hair shafts ('frosted' appearance of hairs) with characteristic rancid acidic odor, common in axilla and rarely affects pubic area. Treatment:- shave axillary hair, topical benzoyl peroxide or topical clindamycin. Ref:- Sima Jain; pg num:-208